Absolutely contraindicated antihypertensive drug in pregnancy is-
1. Enalapril
2. Diazoxide
3. Atenolol
4. Nifedipine

Correct answer: 1. Enalapril

Explanation: Ans. is 'a' i.e., Enalapril